Levinthal Cole Lillie bodies are seen in -
1. LGV
2. Psittacosis
3. Kala Azar
4. Chicken pox

Correct answer: 2. Psittacosis